Asherman's syndrome can be diagnosed by all except :
1. Hysterosalpingography
2. Saline sonography
3. Endometrial culture
4. Hysteroscopy

Correct answer: 3. Endometrial culture

Explanation: Endometrial culture Asherman's sYndrome : it is an acquired uterine defect. lt is characterized by the presence of uterine synechiaes' Uterine synechiaes are bandtike structuresbetween the walls of the uterus causing minimal to almost complete obliteration of the uterine cavity. Histofogicaffy the bands are made up ol fibrous tissue, myometrium and endometrium' The synechiaes usually results lrom destruction of large areas of endometriurn by currettage. Uterine synechais are associated with early pregnancy loss, menstrual disorders (amenorrhea or hypomenorrhea) and infertility.